Most commonly used nerve for neuromuscular monitoring under anesthesia is
1. Radial
2. Ulnar
3. Glossopharyngeal
4. Vagus

Correct answer: 2. Ulnar

Explanation: Monitoring of Neuromuscular block Done by nerve stimulator Different stimulation - Single Twitch Tetanus Train of four stimulus (most common) Double burst stimulation Post - tetanic count Nerves used - ulnar nerve (most common) (Adductor pollicis muscle ) Facial nerve Posterior tibial nerve External peroneal nerve Response of stimulation